A 79-year-old retired opera singer presents with dysphagia, which has become progressively worse during the last 5 years. He states that he is sometimes aware of a lump on the left side of his neck and that he hears gurgling sounds during swallowing. He sometimes regurgitates food during eating. What is the likely diagnosis?
1. Carcinoma of the esophagus
2. Foreign body in the esophagus
3. Plummer-Vinson (Kelly-Patteson) syndrome
4. Zenker's (pharyngoesophageal) diverticulum

Correct answer: 4. Zenker's (pharyngoesophageal) diverticulum

Explanation: A Zenker's (pharyngoesophageal) diverticulum is a mucosal outpouching through the triangular bare area between the cricopharyngeus muscle and the inferior constrictor muscle of the pharynx (Killian's triangle). Most present on the left side of the neck.